False about Lichen planus is
1. Found in skin except mucosa
2. Papule is purple coloured
3. Involves basal layer of skin
4. Shows hyperkeratosis

Correct answer: 1. Found in skin except mucosa

Explanation: (A) Found in skin except mucosa# LICHEN PLANUS:> Common disorder, usually of middle aged, who present with an irritating rash affecting flexures of wrist & forearms, trunk & ankles & with an unknown etiology> Important features are severe itching and oral involvement> 5 'P's of Lichen Planus are Pruritic, Purple, Polygonal, Flat top, Papular lesion> Rash consists of discrete purple, shiny polygonal papules with fine white lines passing through them (Wickham striae) often occurring in scratch marks & other sites of injury (Koebner's phenomenon).> Hypopigmentation In residual disease is not seen Pterygium of nail (hypertrophy of eponychium) is important feature (10%) Histopathology shows hyperkeratosis, irregular acanthosis, band like dermal infiltrate of lymphocyte adjacent to the epidermis & damage to the epidermal basal cells. Dermis infiltrates with T-cells Civatte bodies/Colloid bodies (necrotic keratinocytes in dermis) are seen. Usually resolves within 6 months but recurrences may occur, resolve in 9-18 months.> Main histological features of LP is Basal cell degeneration, Civatte bodies, Max Joseph's space - Melanin incontinence; Others - Mononuclear infiltration of upper dermis.